Following is true regarding opening snap :
1. It is a high-pitched diastolic sound
2. It s due to opening of stenosed aortic valve
3. It indicates pulmonary arterial hypertension
4. It preceedes the aortic component of second heart sound

Correct answer: 1. It is a high-pitched diastolic sound

Explanation: Answer is A (It is a high pitched diastolic sound) Opening snap is brief high pitched sound heard in early diastole. Opening snap brief high pitched sound heard in early diastole (Ejection sound are heard in systole) It is usually due to stenosis of an (A.V.) most often mitral value. It follows second heart sound, A2 by 0.05 to 0.12 sec. It is generally best heard at lower left sternal border and radiates well to the base of heart It is best heard during expiration The time interval between Az and Os varies inversely with the severity of MS. It is followed by low pitched rumbling diastolic murmur Note: O.S. may also be audible in tricuspid stenosis O.S. of tricuspid stenosis occurs later in diastole than the mitral O.S. Opening snap indicates that : M.S. is organic (and significant)Q Valve cusp4 are pliable e - High atroventricular pressure gradient is present - Severe, AR, MR, AF, SABE are absent. e